Imatinib mesylate used in the treatment of GIST is a inhibitor of
1. IL-12
2. TNF-x
3. Tyrosine kinase
4. VEGE

Correct answer: 3. Tyrosine kinase

Explanation: Imatinib mesylate used in the treatment of GIST ( GastroIntestinal Stromal Tumours) is a c-kit(transmembrane receptor tyrosine kinase) tyrosine kinase inhibitor. GIST is rare but most common nonepithelial small bowel tumours. More than 95% show c-kit mutation. Reference : page 877 SRB's manual of surgery 5th edition